Laryngocele arises from herniation through?
1. Thyroid membrane
2. Cricoepiglottic membrane
3. Thyrohyoid membrane
4. Cricovocal membrane

Correct answer: 3. Thyrohyoid membrane

Explanation: ANSWER: (C) Thyrohyoid membraneREF: Dhingra 4th ed p. 281LaryngoceleIt is an air-filled cystic swelling due to dilatation of the saccule. A Laryngocele may be:Internal which is confined within the larynx and presents as distension of false cord and aryepiglottic fold.External in which distended saccule herniates through the Thyrohyoid membrane and presents in the neckCombined or mixed in which both internal and external components are seen.